Find the value of range for the following data 7, 9, 6, 8, 11, 10, 4 -
1. 5
2. 6
3. 7
4. 8

Correct answer: 3. 7

Explanation: Ans. is 'c' i.e., 7